Na+ reabsorption is maximum in ?
1. PCT
2. Loop of Henle
3. DCT
4. Collecting duct

Correct answer: 1. PCT

Explanation: Ans. is 'a' i.e., PCT